First primary ossification centre to appear of carpal bones is
1. Capitate
2. Scapoid
3. Triquitral
4. Pisiform

Correct answer: 1. Capitate

Explanation: (A) Capitate # Appearance of Capitate slightly earlier than Hamate, the 3rd carpal which showed its appearance at the age of 3 :o 5 years was Triquetral.> Trapezium, trapezoid and Scaphoid ossified between the ages of 5 to 9 year's in both the sexes